Which cancer has maximum propensity to spread to cervical lymph nodes ?
1. Nasopharyngal carcinoma
2. Carcinoma of hard palate
3. Carcinoma of soft palate
4. Carcinoma of mandible

Correct answer: 1. Nasopharyngal carcinoma

Explanation: Ans. is'a'i.e., Nasopharyngeal carcinomaRef: Clinical oncology &/e p. 741)" Nasopharynx is a centrally located structure with extensive submucosal capillary lymphatic plexus.Partly due to this extensive lymphatic existence, NPC has a propensity of lymph node involvement in its early stages.Clinical evident cervical lymphadenopathy is seen in more than 86% of the patients with nasopharyngeal carcinoma"